Biochemical screening of newborn infants by heelprick blood samples is performed by using the ?
1. Tay-Sachs Card
2. Duchenne Card
3. Guthrie Card
4. Maple Card

Correct answer: 3. Guthrie Card

Explanation: Ans. is 'c' i.e., Guthrie Card